The plunging ranula is so called because of
1. Its size
2. Lifting of tongue
3. Extension through mylohyoid
4. Involvement of lingual nerve

Correct answer: 3. Extension through mylohyoid